Mannitol is used in the management of
1. Acute Congestive Glaucoma
2. Congestive Cardiac Failure
3. Pulmonary edema
4. Acute Renal Failure

Correct answer: 1. Acute Congestive Glaucoma

Explanation: Mannitol * Mannitol, an osmotic diuretic is a drug preferred in reduction of acutely raised intraocular pressure due to Acute Congestive Glaucoma. * Other agents used to relieve raised Intraocular Pressure (IOP) are: Glycerin, Hypertonic saline and Acetazolamide. * Short term management measures to decrease IOP - needed in acute glaucoma attacks or pre/post ocular surgical procedures are met by Glycerin and Mannitol. * In an acute attack of glaucoma, associated symptoms of nausea and emesis - deter the use of oral agents (like glycerin) - in such instances, IV Mannitol or Acetazolamide are preferred. Therapeutic Indications of Mannitol: - By IV route: - * Treatment of dialysis disequilibrium syndrome * Reduction of IOP in acute glaucoma and during periopeaive periods of ocular surgeries. * To reduce intracranial tension associated with cerebral edema and CNS mass lesions. * For treatment and prevention of acute kidney injury * Enhance urinary excretion of Salicylates, Barbiturates, Bromides and Lithium following their overdose. By oral inhalation:- To diagnose bronchial hyperreactivity. Transurethral irrigation:- To prevent hemolysis during urological procedures. Use of Mannitol is contraindicated in:- CongestiveCardiac Failure, Pulmonary Edema, Renal Failure and in patients with active cranial bleeding. Ref:- Goodman & Gilman Pharmacological Basis of Therapeutics 13th Ed; Pg num:-1267